Precapillary Pulmonary hypertension is caused by all Except:
1. Mitral stenosis
2. Pulmonary vasculitis
3. Primary pulmonary hypertension
4. Thromboembolism

Correct answer: 1. Mitral stenosis

Explanation: Answer is A (Mitral stenosis) Mitral stenosis is a cause of post-capillary pulmonary hypertension or passive pulmonary hypertension. Causes of pulmonary hypertension: Precapillary pulmonary hypertension Primary pulmonary hypertension Disorders of ventilation Congenital heart disease with pulmonary vascular disease Pulmonary embolism Schistosmiasis Collagen vascular disease Pulmonary vasculitis Sickle hemoglobinopathies Portal hypertension Ingestion of drugs and herbal remedies Passive (Post-capillary) pulmonary hypertension Left ventricular failure Mitral valve disease Cor triatriatum Obstruction of major pulmonary veins Congenital pulmonary vein stenosis Left atrial myxoma or thrombosis Reactive pulmonary hypertension Some patients with mitral valve disease Rarely, other cause of pulmonary venous hypertension, including pulmonary veno-occlusive disease